The facultative anaerobic bacteria are those who are:
1. Unable to grow in the presence of oxygen
2. Unable to grow in the absence of oxygen
3. Able to grow in the presence of carbon dioxide
4. Able to grow in the presence or absence of oxygen

Correct answer: 4. Able to grow in the presence or absence of oxygen